A ventrolateral cordotomy is performed to produce relief of pain from the right leg. It is effective because effective because it interrupts the
1. Left Dorsal Column
2. Left Lateral Spinothalamic Tract
3. Right Lateral Spinothalamic Tract
4. Right corticospinal Tract

Correct answer: 2. Left Lateral Spinothalamic Tract

Explanation: The lateral spinothalamic tract conveys pain and temperature. In the spinal cord, the spinothalamic tract has somatotopic organization. The pathway crosses over (decussates) at the level of the spinal cord, rather than in the brainstem like the dorsal column-medial lemniscus pathway and lateral corticospinal tract. Cordotomy (or chordotomy) is a surgical procedure that disables selected pain-conducting tracts in the spinal cord, in order to achieve loss of pain and temperature perception Ref Harrison20th edition pg 2366